Peripheral heart is another name for:
1. Gastrocnemius muscle
2. Soleus muscle
3. Plantaris muscle
4. Popliteus muscle

Correct answer: 2. Soleus muscle

Explanation: (Williams PL, Bannister LH, Berry MM, Collins P, Dyson M, Dussek JE, et al. The Nervous system. In: 
Gray’s Anatomy, 39th edn, Churchill Livingstone, New York; 2005; 879 - 880.)
There are large valve less venous sinuses in the substance of soleus. When it contracts, the blood is pumped out of them and during rest the blood stagnates in them. Soleus is also known as , because it actively helps in the venous return from the lower limb.